All of the following statements are true about the disease where the following rash is noted except:
1. The causative agent is Parvovirus B19
2. This disease also known as Roseola infantum
3. Reticulate lacy exanthem may be noted on the trunk and extremities
4. Clinical features are usually seen in healthy individuals

Correct answer: 2. This disease also known as Roseola infantum

Explanation: Ans. B. This disease also known as Roseola infantumThe image depicts the characteristic slap cheek appearance seen in 5th Disease Synonym: Erythema infectiosumParvovirus B19 most classically causes erythema infectiosum (EI), a mild febrile illness with rash. It often occurs in outbreaks among school-aged children, although it can occur in adults as well.EI is also referred to as "fifth disease" since it represents one of six common childhood exanthems, each named in order of the dates they were first described.The illness begins with nonspecific prodromal symptoms, such as fever, coryza, headache, nausea, and diarrhea.Two to five days later, the classic erythematous malar rash appears with relative circumoral pallor (the so-called slapped cheek rash). This facial rash is often followed several days later by a reticulated or lacelike rash on the trunk and extremities Roseola infantum termed as 6th disease is also called exanthem subitum is produced by HHV-6